Characteristic of protective epithelium is?
1. Regeneration of membrane
2. Microvilli
3. Thinness
4. Pinocytic vesicle

Correct answer: 1. Regeneration of membrane

Explanation: Ans. is 'a' i.e., Regeneration of membraneThe regeneration of epithelium is one of the protective mechnaism of epithelial cells.There are three mechanism for healing:Resolution It is an ideal outcome of healing and occurs in acute inflammatory responses to minor injuries.RegenerationReplacement of lost parenchymal cells by division of adjacent surviving are parenchymal cells (Regeneration) can also restore injured tissue to normal.Whether regeneration occurs depends uponRegenerative capacity of the involved cell (i.e., their ability to divide)The no. of surviving viable cellsPresence of connective tissue framework that will provide the base for restoration of normal tissue structure.